Tiger mosquito is
1. Acdes
2. Anopheles
3. Culex
4. Sand fly

Correct answer: 1. Acdes